Contact dermatitis is -
1. Type-I hypersensitivity
2. Type-II hypersensitivity
3. Type-III hypersensitivity
4. Type-IV hypersensitivity

Correct answer: 4. Type-IV hypersensitivity

Explanation: Contact dermatitis is a type IV hypersensitivity reaction. - delayed hypersensitivity sometimes results results from skin contact with a variety of chemicals - metals such as nickel and chromium, simple chemicals like dyes,drugs or plant allergens. The antigen activates specifically sensitised CD4 & CD8 T lymphocytes leading to the secretion of lymphokines and phagocyte accumulation. Reference : Anathanarayan & paniker's 9th edition, pg no: 162,167